The floor of the nasal cavity in children is made of
1. Palatine bone and vomer
2. Sphenoid and ethmoid
3. Nasal bone and maxilla
4. Palatine bone and maxilla

Correct answer: 4. Palatine bone and maxilla

Explanation: "The floor of the nasal cavities, which also form the roof of the mouth, is made up by the bones of the hard palate: the horizontal plate of the palatine bone posteriorly and the palatine process of the maxilla anteriorly".(Refer: Nelson's Textbook of Pediatrics, SAE, 1st edition, pg no. 2007)